True about prolactin is all except
1. Primary hypothyroidism is associated with mild elevation in serum prolactin
2. Normal prolactin level is less than 20ng/mL in non-pregnant women
3. Hyperprolactinema causes reflex increase in central dopamine levels which causes Menorrhagia
4. Dopamine agonists decrease prolactin secretion

Correct answer: 3. Hyperprolactinema causes reflex increase in central dopamine levels which causes Menorrhagia

Explanation: Hyperprolactinemia → reflex increase in dopamine → acts on dopamine receptors on ovaries
→ Disrupts Folliculogenesis → Amenorrhea.